The following are common causes of seizures in adults older than 60 years of age except
1. Cerebrovascular disease
2. Central nervous system neoplasia
3. Degenerative disease
4. Mesial temporal lobe sclerosis

Correct answer: 4. Mesial temporal lobe sclerosis

Explanation: harrison's principles of internal medicine 17th edition *causes of seizures in older adults include cerebrovascular disease,trauma,CNS tumours and degenerative disease.